Complete restoration of tensile strength of the wound comparable to normal tissue takes as long as
1. Two weeks
2. Six weeks
3. Six months
4. None

Correct answer: 4. None

Explanation: o Tensile strength after wound healing never reaches to normal. The maximum strength achieved is 70-80% at the end of 3 month. Important Point maximum stregnth is achieved at the end of 3 months. (But this is never equal to the original strength)